A child presents with acute diarrhea with signs of dehydration; On investigation, Na+ 125 mEq/L, K+ 3 meq/L, HCO3- 16 mEq/L and pH is 7.23. IV Fluid to be given is?
1. Normal saline
2. 3% saline
3. N/2 saline + 10% dextrose
4. N/3 saline + 5% dextrose

Correct answer: 1. Normal saline

Explanation: * Hyponatremic dehydration is treated by correction of intravascular volume with isotonic fluid (NS or LR). * An overly rapid (>12 mEq/L over the first 24 hr) or overcorrection of serum sodium concentration (>135 mEq/L) is associated with an increased risk of central pontine myelinolysis.